A patient of head trauma presents with clear nasal discharge. NCCT brain was done which revealed non-operable injury to frontobasal area. What is the most appropriate management
1. Wait and watch for 4-5 days to allow spontaneous healing
2. Do an MRI to localize the leak and control the discharge endoscopically
3. Put a dural catheter to control CSF leak
4. Approach transcranially to repair the damaged frontobasal region

Correct answer: 1. Wait and watch for 4-5 days to allow spontaneous healing

Explanation: Inoperable lesser leaks are resolved without any surgical interventions as they can heal spontaneously. Ref: Diseases of nose, throat and ear; Logan Turner; pg 29